All of the following are true about Rheumatoid Arthritis, Except:
1. HLA-DR determine genetic susceptibility
2. HLA-B27 determine genetic susceptibility
3. Anemia
4. Subcutaneous nodules

Correct answer: 2. HLA-B27 determine genetic susceptibility

Explanation: Answer is B (HLA-B27 determine genetic susceptibility): HLA-B27 antigen is associated with seronegative spondyloarthropathies and not Rheumatoid Arthritis. RA is associated with HLA DR alleles and may present with anemia, subcutaneous nodules and joint deformities. HLA B 27 associated seronegative spondyloarthropathies Ankylosing spondylitis Psoriatic arthritis Reactive arthritis (Reiter's syndrome) Enteropathic arthritis (Associated with Inflammatory Bowel disease) Undifferentiated spondyloarthropathy